Over - expression of BCL - 2 proteins occurs in
1. Burkitt's lymphoma
2. Folliculor lymphoma
3. Diffuse large B - Cell lymphoma
4. AML

Correct answer: 2. Folliculor lymphoma

Explanation: Solution

Most common indolent lymphoma of adults
Tumor cells recapitulate the growth pattern of normal germinal center B Cells most cases are associated with (14: 18) translocation that result in the over expression of BCL2.